All of the following are poor prognostic markers of CA Breast except
1. PCNA Positivity
2. ER positivity
3. Her 2 neu positivity
4. p53 over expression

Correct answer: 2. ER positivity

Explanation: Answer- B. ER positivityPatients with hormone receptor positive tumor show good response to hormone therapy.Tumors positive for estrogen or progesterone receptors have a higher response rate to endocrine therapy than tumors that do not express estrogen or progesterone receptors.Tumors positive for one receptor and not the other have an intermediate response rate.